The side of rubber dam facing occlusal side of isolated teeth is:
1. Shiny side
2. Dull side
3. Any side
4. Both sides are dull and can be used in either direction

Correct answer: 2. Dull side

Explanation: Rubber dam material has a shiny and dull side.
Because the dull side is less light reflective, it is generally placed facing the occlusal of the isolated teeth.